What is the best prognostic marker of CA penis:
1. age <40 yrs
2. lesion size < 2 cm
3. previous circumcision
4. absent inguinal LN metastasis

Correct answer: 4. absent inguinal LN metastasis

Explanation: The most important prognostic and treatment-related factor in penile ca is the presence and degree of nodal disease. Smith's Urology writes — "Survival in penile carcinoma correlates with the presence or absence of nodal disease.
Five-year survival rates for patients with node-negative disease range from 65% to 90%. For patients with positive inguinal nodes, this rate decreases to 30-50% and with positive iliac nodes decreases to less than 20%. In the presence of soft-tissue or bony metastases, no 5-year survivors have been reported."